IPC 82 states that: child cannot be punished under what age :
1. 5 yrs
2. 8 yrs
3. 7 yrs
4. 10 yrs

Correct answer: 3. 7 yrs